A most common cause of anterior uveitis associated with arthritis –
1. Ankylosing spondylitis
2. Rheumatoid arthritis
3. Syphilis
4. Tuberculosis

Correct answer: 1. Ankylosing spondylitis

Explanation: Anterior uveitis is most commonly idiopathic or autoimmune and the most common cause is age-dependent:-
Child → JRA is the most common cause


Young adult s → HLB-27 associated uveitis (Ankylosing spondylitis is the most common cause)
Older adults → Idiopathic anterior uveitis is most common.
Overall most common cause → Idiopathic.